ETHER DAY is celebrated on
1. 20-Oct
2. 16-Oct
3. 20-Nov
4. 16-Nov

Correct answer: 2. 16-Oct

Explanation: Ether Day," Friday 16 October 1846 marks the first successful demonstration of the inhalation of ether vapour as a means of overcoming pain of surgery by the dentist William Thomas Green Moon Ref ganong's review of medical physiology 25e 561